The following is not true about microspherophakia
1. It is associated with hypermetropia
2. It can be an autosomal recessive disorder
3. Anterior dislocation is known as a complication
4. It is associated with short stature and stiff joints

Correct answer: 1. It is associated with hypermetropia

Explanation: Ans. (a) It is associated with hypermetropiaRef: Kanski 7/e, p. 309Option a - In micro (small) sphero (spherical shaped) phakia, the lens has increased curvature giving it greater converging power and thus causing myopia.Option b/c/d - It is associated with Weill-Marchesani syndrome which is an autosomal recessive disorder and has the features of anterior ectopia lentis and short stature with stiff joints.